Ichthyoses is a side effect of -
1. Clofazamine
2. Cephalosporin
3. Capreomycin
4. Lctrozole

Correct answer: 1. Clofazamine

Explanation: Ans. is 'a' i.e., Clofazamine Clofazimineo Clofazimine is a leprostatic drug.o It acts by interfering the template function of DNA.o Adverse effects of clofazimine1. Skin -Reddish-black discolouration of skin, dryness of skin and itching. Discolouration of hair and body secretions, acneform eruptions and phototoxicity, conjuctival pigmentation.2. GIT -Enteritis with loose stools, nausea, abdominal pain, anorexia and weight loss.Remember - Clofazimine has antiinflammatory property can be used in lepra reaction.